Infective organism causing AV block
1. Treponema pallidum
2. Borrelia burgdorferi
3. Cryptococcus
4. Listeria monocytogenes

Correct answer: 2. Borrelia burgdorferi

Explanation: Answer- B. Borrelia burgdorferiComplete AV block may occur with infections that cause myocarditis.' Myocarditis affects conduction system and can cause arrhythmias, typical causing complete AV block.Infections causing bacteria AV blockDiphtheriaLyme disease (Borrelia burdorferi)Rocky mountain spotted feverRheumatic feverCauses of Mobitz II second degree AV block include followingDegenerativc disease of the His-Purkinje systemDamage of the conduction system from coronary artery disease, valve surgery, myocardial infarction. myocarditis, infiltrative cardiomyopathies (sarcoidosis, hemochromatosis),, myxedema, Lyme disease, neuromuscular disease, and AV junction ablationSystemic diseases (eg, ankylosing spondylitis, Reiter syndrome)